All of the following diseases have consistent symptom of tinnitus, except
1. Meniere's disease
2. CSOM
3. Otosclerosis
4. Mastoiditis

Correct answer: 4. Mastoiditis

Explanation: Mastoiditis being a suppurative inflammation of the mucosal lining of the antrum and mastoid air cells and its major symptoms and signs include pain, fever, swelling, tenderness over mastoid, sagging of posterosuperior meatal wall and lighthouse effect. Subjective tinnitus is seen in Meniere's disease and CSOM Tinnitus is seen associated with cochlear otosclerosis and active lesions Ref: P L DHINGRA diseases of ear nose and throat, 6th edition, page no 131